Most common benign tumour of eye lids
1. Simple papilloma
2. Xanthelasma
3. Capillary haemangioma
4. Neurofibroma

Correct answer: 1. Simple papilloma

Explanation: Simple Papilloma
Usually ocurs at lid margin
most common tumour.